Blood pressure level is an example of which of the following scales?
1. Nominal
2. Ordinal
3. Metric
4. None of the above

Correct answer: 3. Metric

Explanation: Metric scale: These are characteristics that can be measured in terms of a quantity. Duration of disease, haemoglobin level, heart rate and blood pressure are examples of such characteristics. Ref: Medical biostatistics, 1st edition pg: 99